Pheochromocytoma may be associated with:
1. Medullary carcinoma of the thyroid
2. Papillary carcinoma of the thyroid
3. Anaplastic carcinoma of the thyroid
4. Follicular carcinoma of the thyroid

Correct answer: 1. Medullary carcinoma of the thyroid

Explanation: Ans. A. Medullary carcinoma of the thyroidMEN 2a: Sipple syndromeMEN 2ba. Thyroid; Medullary thyroid carcinomaa. Thyroid: Medullary thyroid carcinomab. Pheochromocytomab. Pheochromocytomac. Parathyroid hyperplasiac. Mucosal neuromas and Marfanoid appearance